A patient with leukemia on chemotherapy develops acute right lower abdominal pain associated with anemia, thrombocytopenia and leukopenia. Which of following is the clinical diagnosis?
1. Appendictis
2. Leukemic colitis
3. Perforation peritonitis
4. Neutropenic colitis

Correct answer: 4. Neutropenic colitis

Explanation: Answer is D (Neutropenic Colitis) Acute Right sided lower quadrant pain following chemotherapy in an immunocompromised host in characteristic of Neutropenic colitis. Tvphilitis : Syn : Neutropenic colitis, Necrotizing colitis, Necrotizing enteropathy, ileocoecal syndrome or cecitis. This syndrome is classically seen in neutropenic patients after chemotherapy with cytotoxic drugs More common in children than adults More common in patients with AML/ALL than among those with other types of cancer. Clinically characterized by - Fever - Right lower quadrant pain and tenderness (Most characteristic) Associated bloody diarrhea (+-) Immunocompromised blood picture Confirmed on CT/USG Finding a thickened coecal wall.